Not an effect of bromocriptine is -
1. Dopamine agonist
2. Increases prolactin release
3. Decreases prolactin release
4. All

Correct answer: 2. Increases prolactin release

Explanation: Ans. is 'b' i.e., Increase prolactin release Bromocriptine is a potent dopamine agonist. o The actions of bromocriptine is due to dopamine like effect (dopaminergic) on D2 and less common DI receptors. Dopamine inhibits the secretion ofprolactin --> Bromocriptine does the same. Dopamine increases the secretion of GH in normal individuals but decreases in acromegalics Bromocriptine also has r_.cone effect. 3. Dopamine stimulates CTZ and causes nausea, vomiting --> same is true with bromocriptine - Nausea & vomiting are the commonest adverse effects. Dopamine decreases GI motility --> Bromocriptine has same effect. Levodopa is an immediate precursor of dopamine so, bromocriptine also has levodopa like action in CNS.